Suture number 2-0 corresponds to diameter of:
1. 0.21 mm
2. 0.24 mm
3. 0.27mm
4. 0.30 mm

Correct answer: 4. 0.30 mm

Explanation: Answer- (D) 0.30 mmThe available sizes and diameters of suture are:6-0 = 0.07 mm5-0 = 0.10 mm4-0 = 0.15 mm3-0 = 0.20 mm2-0 = 0.30 mm0 = 0.35 mm1 = 0.40 mm2=0.5mm